The Sagittal split mandibular operation
1. is a good operation for closing an anterior open bite.
2. Has a very low incidence of inferior dental nerve anaesthesia or paraesthesia with a skilled operator.
3. Has a lower morbidity when used for pushing back a mandible than an intra oral vertical subsigmoid osteotomy.
4. Rarely leads to a non union of the osteotomy site

Correct answer: 4. Rarely leads to a non union of the osteotomy site